All of the following may be used for detoxification therapy of chronic alcoholism except -
1. Naltrexone
2. Disulfiram
3. Flumazenil
4. Acamprostate

Correct answer: 3. Flumazenil

Explanation: Ans. is 'c' i.e., Flumazenil